Mechanism of action of aspirin as antiplatelet drug is it's inhibitory action on
1. Prostacyclins
2. PGF-2 alpha
3. Thromboxane A2
4. Phospholipase C

Correct answer: 3. Thromboxane A2

Explanation: Refer KDT 7th /629 By inhibiting cyclooxygenase enzyme, aspirin initially decreses6 the level of both prostacyclins and TXA2 Howevr6 after some time prostacyclins synthesis resumes due to presence big nulcues in endothelium where'ass TXA2 remain depressed because platelets are enucleated